In what type of hemorrhagic shock, there is 15-30% blood loss:
1. Class 1
2. Class 2
3. Class 3
4. Class 4

Correct answer: 2. Class 2

Explanation: Ans. (b) Class 2Ref: Bailey and Love Page 19/ 27th edition)As per the table below it is Class 2 Shock.* Class 1 Shock is 15% of 5Litres5 of Blood=<750mL* Class 2 Shock is 15-30%:=750-1500mL* Class 3 Shock is 30-40%=1500-2000mL* Class 4 Shock is > 40%=>2litres ParameterClassIIIIIIIVBlood loss (%)0-1515-3030-40>40Central nervous systemSlightly anxiousMildly anxiousAnxious or confusedConfused or lethargicPulse (beats/min)<100>100>120>140Blood pressureNormalNormalDecreasedDecreasedPulse pressureNormalDecreasedDecreasedDecreasedRespiratory rate14-20/min20-30/min30-40/min>35/minUrine (ml/hr)>3020-305-15NegligibleFluidCrystalloidCrystalloidCrystalloid + bloodCrystalloid + blood* Pulse rate increases at Class 2 Hemorrhagic shock* Blood pressure decreases at Class 3 Hemorrhagic shock* Pulse pressure decreases at Class 2 Hemorrhagic shock